All of the following are true about transient tachypnea of newborn except -
1. It is a self limiting disease
2. It may occur after Caeserean section
3. It usually takes 1 month to recover
4. It is due to slow absorption of fetal lung fluid

Correct answer: 3. It usually takes 1 month to recover

Explanation: Ans. is 'c' i.e., It usually takes 1 month to recover Transient tachypnea of Newborno Transient tachypnea of the newborn is a benign self-limiting disease occuring usually in term neonates and is due to delayed clearance of lung fluid. It is also called respiratory distress syndrome type II.o TTN follows -i) Uneventful normal preterm or term vaginal deliveryii) Cesarean deliveryo TTN is believed to be secondary to slow absorption of fetal lung fluid resulting in decreased pulmonary compliance and tidal volume and increased dead space therefore also known as wet lungo Clinical manifestationso Early onset of tachypneao Sometimes retraction or expiratory gruntingo Occasionally cyanosiso Patients usually recover rapidly within 3 dayso Hypoxemia, hypercapnia and acidosis are uncommon.o The lungs are generally clear without rales or rhonchi and chest roentgenogram shows -o Prominent pulmonary vascular markingso Fluid lines in the fissureo Prominent inter-labar fissureo Overaeration) Flat diaphragmo Occasionally pleural fluid.